Which of the following sensory receptor provides information about the force of contraction?
1. Nuclear bag fibre
2. Nuclear chain fibre
3. Free nerve endings
4. Golgi tendon organ

Correct answer: 4. Golgi tendon organ

Explanation: Golgi tendon organ provides information about the force of contraction. It senses and regulates tension in muscle